Clean and small wound heals by?
1. Primary intention
2. Secondary intention
3. Tertiary intention
4. All of above

Correct answer: 1. Primary intention

Explanation: Ans. (a) Primary intentionRef: Bailey & Love 26th edJ25HEALING BY PRIMARY INTENTION* It involves epidermis and dermis without total penetration of dermis healing by process of epithelialization when wound edges are brought together so that they are adjacent to each other (re-approximated).* This minimizes scarring* Most surgical wounds heal by primary intention healing* Wound closure is performed with sutures (stitches), staples, or adhesive tape* Examples: well-repaired lacerations, well reduced bone fractures, healing after flap surgery